Estimation of serum levels is important for which of the following drug:
1. Haloperidol
2. Benzodiazepines
3. Lithium
4. Chlorpromazine

Correct answer: 3. Lithium

Explanation: Ans. C: LithiumLithium has been the drug of choice for the treatment of maniac episode (acute phase) as well as for prevention of further episodes in bipolar mood disorder.It has also been used in the treatment of depression with less success.Lithium needs to be closely monitored by repeated blood levels, as the difference between the therapeutic (0.8-1.2 mEq/ L) and lethal blood levels (more than 2.5-3.0 mEq/1) is not very wide (narrow therapeutic index).